The fibers from the contralateral nasal hemiretina project to the following layers of the lateral geniculate nucleus:
1. Layers 2, 3 & 5
2. Layers 1, 2 & 6.
3. Layers 1, 4 & 6.
4. Layers 4, 5 & 6

Correct answer: 3. Layers 1, 4 & 6.

Explanation: C i.e. Layers 1, 4, 6 Lateral Geniculate Body & the relay pathway Lateral geniculate body (part of thalamus) is relay station on the visual pathway lying just posterior to the optic tract. It receives fibres from the contralateral nasal hemiretina and ipsilateral temporal hemiretina Gray matter of this body is split into six laminae.